A 4-year-old boy is seen after he suddenly develops a fever, abdominal pain and tenderness, hematuria, and palpable purpuric skin lesions on his buttocks and the extensor surfaces of the arms and legs. The most likely diagnosis is
1. Henoch-Schonlein purpura (HSP)
2. Idiopathic (immune) thrombocytopenic purpura (ITP).
3. Kawasaki disease.
4. Polyarteritis nodosa.

Correct answer: 1. Henoch-Schonlein purpura (HSP)

Explanation: Henoch-Schonlein purpura- IgA immune complex disease, Involvement of small vessels (venules, capillaries, arterioles) with multiple lesions The disorder may involve only the skin, presenting as palpable purpura, or it may involve a variety of other sites, including the glomeruli, gastrointestinal tract, lungs, or brain. Thrombocytopenia is not seen in Henoch-Schonlein purpura (HSP)